The maximum permissible dose of radiation to the
operator of an X-ray machine is
1. .05 rem per year
2. 0.5 rem per year
3. 5.0 rem per year
4. 50 rem per year

Correct answer: 3. 5.0 rem per year